In traumatic transection of the femoral artery and vein, which among the following should be done -a) Femoral artery repair with vein ligationb) Repair of artery and veinc) Ligation of femoral arteryd) Below knee amputatione) Repair of artery with contralateral sympathectomy
1. ac
2. ab
3. ad
4. bc

Correct answer: 2. ab